Ectopic pregnancy lasts longer in :
1. Interstitial
2. Isthumoampullary
3. Isthmic
4. Am pullary

Correct answer: 1. Interstitial

Explanation: Interstitial